Single layer of varnish covers:
1. 55% of surface area
2. 25% of surface area
3. 35% of surface area
4. 80% of surface area

Correct answer: 1. 55% of surface area

Explanation: Single layer of varnish cover - 55% of surface area.
2-3 layers applied ⇒ 60 – 80% surface area covered.